Thalidomide is useful in:
1. Treatment of leprosy
2. Treatment of type II lepra reaction
3. Treatment of type I lepra reaction
4. Treatment of neuritic leprosy

Correct answer: 2. Treatment of type II lepra reaction

Explanation: Ans. B: Treatment of type II lepra reaction Thalidomide is a sedative-hypnotic, and multiple myeloma medication. The drug is a potent teratogen. Thalidomide was chiefly sold during the late 1950s and early 1960s to pregnant women, as an antiemetic to combat morning sickness. Children were born with severe malformities, including phocomelia, because their mothers had taken thalidomide during pregnancy. Apart from its infamous tendency to induce birth defects and peripheral neuropathy, the main side effects of thalidomide include fatigue and constipation. It also is associated with an increased risk of deep vein thrombosis especially when combined with dexamethasone,for treatment of multiple myeloma. In multiple myeloma patients, concomitant use with zoledronic acid may lead to increased incidence of renal dysfunction. High doses can lead to pulmonary oedema, atelectasis, aspiration pneumonia and refractory hypotension. It is very effective in dermatolgical conditions like: ENL, aphthous stomatitis, Behcet's disease, LE, and prurigo nodularis